The fading of cellular chromatin is:
1. Karyolysis
2. Karyorrhexis
3. Pyknosis
4. Cytolysis

Correct answer: 1. Karyolysis